Ligamentum teres of the liver is remnant of
1. Umbilical arteries
2. Left umbilical vein
3. Ductus venosus
4. Ductus arteriosus

Correct answer: 2. Left umbilical vein

Explanation: Ligamentum teres is the obliterated fibrous remnant of the left umbilical vein of the fetus. It originates at the umbilicus. It passes superiorly in the free margin of the falciform ligament. From the inferior margin of the liver, it may join the left branch of the portal vein or it may be in continuity with the ligamentum venosum.